A 63-year-old woman presents with c/o of pain in her right eye. On examination the pupil is dilated with a hazy cornea. Most likely diagnosis?
1. Scleritis
2. Anterior uveitis
3. Conjunctivitis
4. Acute angle closure glaucoma

Correct answer: 4. Acute angle closure glaucoma

Explanation: Acute angle closure glaucoma- Severe pain (may be ocular or headache.), decreased visual acuity, patient sees haloes, semi-dilated pupil, hazy cornea